Name of the muscle in thenar eminence which does not have median nerve supply
1. Abductor pollicis brevis
2. Flexor pollicis brevis
3. Opponens pollics
4. Adductor pollicis

Correct answer: 4. Adductor pollicis

Explanation: Another muscle that controls movement of the thumb is adductor pollicis. It lies deeper and more distal to flexor pollicis brevis. Despite its name, its main action is mainly rotation and opposition. It is not in the thenar group of muscles, so is supplied by the ulnar nerve. Ref - BDC 6e p120